Which of the following drugs is most effective against an organism producing aminoglycoside inactivating enzymes?
1. Amikacin
2. Streptomycin
3. Gentamicin
4. Tobramycin

Correct answer: 1. Amikacin

Explanation: (Ref: KDT 6/e p724) Amikacin is most resistant to aminoglycoside inactivating enzymes. Aminoglycosides are not effective against anaerobes.